A 50-year-old patient has recently undergone a mastectomy for a 2.5 cm multicentric breast cancer with three positive axillary lymph nodes (stage IIB). A metastatic survey is done, and is negative, and she receives adjuvant chemotherapy. The most common site for distant metastasis would be:
1. Brain
2. Bone
3. Lung
4. Gastrointestinal tract

Correct answer: 2. Bone

Explanation: Bone metastasis is the most common distant metastatic site for breast cancer. They are typically osteolytic lesions and can be treated by bisphosphonates, which inhibit bone demineralization and have been shown to reduce the pathologic fracture frequency and need of radiation.